In which case lymph nodes are resected prophylactically
1. Embryonal Rhabdomyosarcoma
2. Liposarcomo
3. Fibrosarcoma
4. Neurofibroma

Correct answer: 1. Embryonal Rhabdomyosarcoma

Explanation: Ans is fa' ie Embryonal Rhabdomyosarcoma Soft tissue sarcomas are tumors of mesenchymal origin.Unlike most carcinomas, soft tissue sarcomas rarely metastasize to the lymph nodes (<5%); therefore lymph node surgery usually is not necessary.But there are certain soft tissue sarcomas, which have propensity for lymph node metastasis" Rhabdomyosarcoma a tumor of striated muscle, is a highly malignant soft tissue sarcoma of infancy and childhood. It is the MC soft tissue sarcoma in children. Rhabdomyosarcoma invades local structures early and metastasis occur by lymphatics and hematogenous spread."Sarcomas in which lymphatic metastasis is seenSynovial cell sarcoma.Clear cell sarcomaRhabdomyosarcoma MnemonicEpithelioid sarcoma SCREAMAngiosarcomaMalignant fibrous histiocytoma Also know (Ref: Schwartz 9/e pl284)The most common histologic types of soft tissue sarcoma in adults (excluding Kaposi's sarcoma) are malignant fibrous histiocytoma (MFH, 28%), leiomyosarcoma (12%), liposarcoma (15%), synovial sarcoma (10%), and malignant peripheral nerve sheath tumors (6%).Most common soft tissue sarcoma in children is -- RhabdomyosarcomaMost common site for soft tissue sarcoma is -- extremity (50 to 60%) > trunk, retroperitoneum, and head and neck. Soft tissue sarcomas generally metastasize by the hematogenous route.Most common site of metastasis for soft tissue sarcomas is - Lungs Exception to this are:GIST & retroperitoneal sarcomas -LiverMyxoid liposarcomas - Fatty tissuesClear cell sarcomas - Bones